All of the statements about quarantine are true except:-
1. It is synonymous with Isolation
2. Absolute quarantine is restriction during the incubation period
3. Exclusion of children from schools is an example of Modified quarantine
4. Quarantine should not be longer than the longest incubation period

Correct answer: 1. It is synonymous with Isolation

Explanation: Isolation versus quarantine:- Isolation Quarantine Separation of Cases Healthy contacts of cases Done for Cases themselves Other persons around cases Duration Till recovery Till maximum IP